Which of the following anti-histaminie has very less cholinergic side effects?
1. Promethazine
2. Chlorpheniramine
3. Hydroxyzine
4. Loratidine

Correct answer: 4. Loratidine

Explanation: Loratidine is a second generation anti-histamine which has lesser sedation and cholinergic side effects.